Low osmolarity ORS - false statment is
1. Glucose concentration 75 mmol/liter
2. Sodium concentation 75 mmol/liter
3. Osmolarity is 311 mosm/liter
4. Postassium is 20 mmol/liere

Correct answer: 3. Osmolarity is 311 mosm/liter

Explanation: Ans. is 'c' i.e., Osmolarity is 311 mosm/liter